All of the following are true about the Papovavirus, except
1. They are non-enveloped icosahedral viruses
2. Produce papilloma
3. RNA virus
4. Oncogenic

Correct answer: 3. RNA virus

Explanation: Pox virus, Herpes virus, Adenovirus, HBV, Papilloma, Papova , Polyoma virus are DNA virus. Papillomaviruses cause infections at cutaneous and mucosal sites, sometimes leading to the development of different kinds of was, including skin was, plantar was, flat was, anogenital was, laryngeal papillomas, and several cancers, including those of the cervix, vulva, penis and anus, and a subset of head and neck cancersHPV 16, 18 High correlation with genital and oral carcinomas, especially cervical cancerJawetz 27 632